Muscle of fascial expression, which is not supplied by facial nerve ?
1. Orbicularis oris
2. Orbicularis oculi
3. Frontalis
4. Levator palpebrae superioris

Correct answer: 4. Levator palpebrae superioris

Explanation: Ans. is 'd' i.e., Levator palpebrae superioris Nerve supply of face Each half of the face is supplied by fourteen nerves, one is motor and the rest are sensory. Motor supply is derived from facial (7") nerve which supplies all facial muscles except levator palpeprae sperioris, which is supplied by sympathetic fibers and 3rd cranial nerve. Eleven sensosry nerves are derived from branches of trigeminal (5th) nerve and only two sensory are derived from great auricular nerve and transverse (anterior) cutaneous nerve of neck.